Which of the following is most sensitive for diagnosis of HIV?
1. PCR
2. bDNA assay
3. NASBA
4. P24 detection

Correct answer: 1. PCR

Explanation: Ans. a. PCR